Trachoma inclusion bodies are called as
1. HP bodies
2. Negri bodies
3. Koeppe's nodules
4. Boiled sagograin follicles

Correct answer: 1. HP bodies

Explanation: (Refer: AK Khurana Comprehensive Ophthalmology, 6th edition, pg no. 67 - 71) Trachoma is caused by Chlamydia trachomatis serotypes' A, B, Ba, and CThe organism is epitheliotropic and produces intracytoplasmic inclusion bodies called HP bodies (Halberstaedter prowazeke bodies) They typically represent sites of viral multiplication in a bacterium or a eukaryotic cell and usually consist of viral capsid proteins. .Inclusion bodies are dense electron-refractile particles of aggregated protein found in both the cytoplasmic and periplasmic spaces of E Ref khurana 6th edition pg 234